The normal value of Arden index is
1. 1
2. 5-Jan
3. Less than 18.5
4. More than 1.85

Correct answer: 4. More than 1.85

Explanation: Arden ratio = (Maximum height of light peak/Minimum height of dark trough) x 100 Normal curve values are 185 or above. Subnormal curve values are less than 150. Flat curve values are less than 125. Reference : AK KHURANA COMPREHENSIVE OPHTHALMOLOGY, Edition4 , Page-490